Which drug is vassopressin V2 receptor selective agonist -
1. Lypressin
2. Desmopressin
3. Terlipressin
4. None

Correct answer: 2. Desmopressin

Explanation: Ans. is 'b' i.e., Desmopressin o Lypressin - Agonist on V1 & V2.o Desmopressin - Selective V2 agonisto Terlipressin - Prodrug of vasopressin.